Vertical transmission of resistance to ciprofloxacin occurs :-
1. Transduction
2. Transformation
3. Conjugation
4. Mutation

Correct answer: 4. Mutation

Explanation: Ciprofloxacin: Vertical transmission -from parents to progeny (daughter cells) among bacterial cells Horizontal transmission - from one bacteria to another bacteria simultaneously Vertical transmission is mainly by mutation Horizontal transmission is mainly by various methods Transduction Transformation Conjugation